Which of the following is the best indicator for long-term nutritional status?
1. Mid-arm circumference
2. Height for age
3. Weight for age
4. Weight for height

Correct answer: 2. Height for age

Explanation: Height for age is the best indicator for long-term nutritional status (chronic malnutrition) Weight for age is the most commonly used index, but it doesnot differentiate between wasting and stunting. Hence, it has limited clinical significance A low weight-for-height, or wasting, indicates acute malnutrition Ref: Nelson textbook of pediatrics 21st edition Pgno: 333